Whats the minimum dose required for Tetracycline staining?
1. 5 mg/kg body weight
2. 20 mg/kg body weight
3. 25 mg/kg body weight
4. 10 mg/kg body weight

Correct answer: 2. 20 mg/kg body weight